Pacemaker cells are absent in
1. Colon
2. Esophagus
3. Stomach
4. Small intestine

Correct answer: 2. Esophagus

Explanation: Pacemaker cells are absent in esophagus and proximal part of atomach.